A 50-year-old patient presents with features of poor perfusion following MI. On examination, heart rate is 40/min with BP of 60 mmHg systolic. Atropine was given twice over 5 minutes, but the condition of the patient is not improving. What is the next best step?
1. Transvenous Pacing
2. Transcutaneous Pacing
3. Implantable cardioverter defibrillator
4. Repeat atropine

Correct answer: 2. Transcutaneous Pacing

Explanation: ACLS 2015 guidelines: Case of symptomatic bradycardia with signs of poor perfusion--> Transcutaneous pacing is recommended.